Lancefield grouping of streptococci is done by using?
1. M Protein
2. Group C peptidoglycan cell wall
3. Group C carbobydrate antigen
4. Staining properties

Correct answer: 3. Group C carbobydrate antigen

Explanation: Ans. is 'c' i.e., Group C carbohydrate antigen